'Patterned' abrasion is variety of -
1. Linear abrasion
2. Pressure abrasion
3. Sliding abrasion
4. Superficial bruise

Correct answer: 2. Pressure abrasion

Explanation: Patterned abrasions are any imprint abrasion or pressure abrasion which reproduce the pattern of object causing it.